A 9-month-old un-immunized child was brought to the dispensary, which vaccination should be given to this baby at first visit?
1. OPV + BCG
2. OPV + DPT + Measles
3. OPV + BCG + DPT + Measles
4. OPV + DPT + BCG

Correct answer: 3. OPV + BCG + DPT + Measles

Explanation: c. OPV + BCG + DPT + Measles(Ref: IAP 115, 383, Ghai 8/e p 145)Recommendations for Catch up immunizationVaccination catch up regimens should preferably be individualizedAny number of vaccines live/inactivated may be given on the same day either singly or as combination vaccines maintaining a gap of 5cm between different vaccinesInactivated vaccines can be given at any time in relation to any other live/ inactivated vaccinesIf not given on the same day, a gap of 4 weeks should be maintained between two live injectable vaccines